Treatment objective for serial extraction:
1. To intercept a developing arch-length deficiency and to reduce or eliminate the need for extensive appliance therapy
2. Reduce arch-length deficiency
3. To plan for extensive appliance therapy
4. To reduce arch-length deficiency & to plan for extensive appliance therapy

Correct answer: 1. To intercept a developing arch-length deficiency and to reduce or eliminate the need for extensive appliance therapy

Explanation: Benefits of Serial Extraction 

Serial extraction guides or encourages eruption of permanent teeth in a favorable position.
Reduces malposition of individual teeth.
Avoids loss of labial alveolar bone.
Reduces treatment time when active orthodontic treatment is required. 

Textbook of ORTHODONTICS Sridhar Premkumar